A 45 year old male, known case of Rheumatoid arthritis is on a monotherapy since many years. Symptoms of RA are controlled but suddenly patient develops blurring of vision. Which of the following drug is responsible for sudden affect on vision?
1. Leflunomide
2. Methotrexate
3. Sulfasalazine
4. Hydroxychloroquine

Correct answer: 4. Hydroxychloroquine

Explanation: -Hydroxychloroquineis used for the treatment of rheumatoid arthritis. - Taking hydroxychloroquine for a long-term or at high doses may cause irreversible damage to the retina of your eye. (Bull's Eye Retinopathy) Blurred vision, trouble focusing Distorted vision, blind spots Changes in your colour vision Hazy or cloudy vision Light flashes or streaks, halos around lights Increased sensitivity to light